Immunoglobulin that activates the alternate complement pathway is:
1. Ig A
2. Ig G
3. Ig M
4. Ig E

Correct answer: 1. Ig A

Explanation: (Refer: Ananthanarayanan and Paniker’s Textbook of Microbiology, 8th edition, pg no: 94–96)
 
Immunoglobulin nuggets